Thinnest labial plate is found in the region of:
1. Upper central incisors
2. Lower central incisors
3. Upper canines
4. Lower canines

Correct answer: 2. Lower central incisors